Which among the following is true about iron deficiency anemia?
1. Increased Ferritin
2. Decreased TIBC
3. Marrow is Normoblastic
4. Macrocytic Hypochromic Anemia

Correct answer: 3. Marrow is Normoblastic

Explanation: Marrow is Normoblastic REF: APPENDIX-52 for TYPES OF ANEMIA_ "Bone marrow picture in iron deficiency anemia is normoblastic"